In comparison to hyperplasia, hypertrophy is
1. Increase in cell size and number
2. Increase in cell size without increase in number
3. Increase in cell number without increase in size
4. Increase in cell size and decrease in number

Correct answer: 2. Increase in cell size without increase in number

Explanation: * Hypertrophy: increase in size of cells. There are no new cells just bigger cells containing increased amount of structural proteins and organelles * Hyperplasia: increase in cell number Both results in enlarged organ * Hyperplasia occurs in cells capable of replication * Hypertrophy occurs in cells which have limited capacity to divide Refer robbins 9/e p3.